In undisplaced fracture of neck of femur the ideal treatment includes
1. Skeletal traction
2. Internal fixation
3. Femoral head prosthesis
4. Each of the above as similar prospects and results

Correct answer: 2. Internal fixation

Explanation: (B) Internal fixation > Notwithstanding the advances in joint replacement, for most patients the principles of treatment are as of old: accurate reduction, secure internal fixation and early activity. The reduction is assessed by x-ray.> The femoral head should be positioned correctly so that the stress trabeculae are aligned close to their normal position in both anteroposterior and lateral views Once the fracture is reduced, it is held with cannulated screws or a sliding screw and sideolate which attaches to the femoral shaft Usually two cannulated screws will suffice; they should lie parallel and extend to within 5 it m of the subchondral bone plate; in the lateral view they must be central in the head and neck and in the anteroposterior view the distal screw ideally should lie against the inferior cortex of the neck